Alports syndrome is -
1. X linked
2. Co-dominant
3. AD
4. AR

Correct answer: 1. X linked

Explanation: The inheritance is heterogeneous, being most commonly X-linked as a result of mutation of the gene encoding a5 type IV collagen. Males, therefore, tend to be affected more frequently and more severely than females and are more likely to develop renal failure. Ref: Robbins book of pathology. 9th edition. Page 531